Prions consists of -
1. DNA and RNA
2. DNA, RNA and Protein
3. RNA and protein
4. Only proteins

Correct answer: 4. Only proteins

Explanation: Ans. is 'd' i.e., Only proteins